All of the following are features of musculocutaneous nerve injury at axilla except:
1. Loss of flexion of shoulder
2. Loss of flexion at elbow
3. Loss of supination of forearm
4. Loss of sensation on radial side of forearm

Correct answer: 1. Loss of flexion of shoulder

Explanation: MUSCULOCUTANEOUS NERVE INJURY Musculocutaneous nerve supplies coracobrachialis, the biceps brachii and the brachialis, Continued into the forearm as the lateral cutaneous nerve of the forearm. Injury-loss of flexion of elbow, supination of forearm sensory loss on lateral aspect of forearm. Damaged in shoulder dislocation.